Indentation tonometer is based on the fundamental fact that a plunger with indent:
1. More in soft eye
2. More in hard eye
3. Equal in soft and hard eye
4. None of the above

Correct answer: 1. More in soft eye

Explanation: Ans. More in soft eye